12th cranial nerve passes through:
1. Jugular foramen.
2. Anterior condylar canal.
3. Posterior condylar canal.
4. Superior orbital fissure.

Correct answer: 2. Anterior condylar canal.